Which of the following parts of brain contains dopaminergic neurons?
1. Locus ceruleus system
2. Cerebellum
3. Nigro striatal system
4. Midline raphe nucleus

Correct answer: 3. Nigro striatal system

Explanation: Ans: C (Nigro striatal system) Ref: Pal GK. Limbic system. In: Textbook of medical physiology. Ahuja publishing house. 2007: 120: 910-13.Explanation:Dopaminergic systemMeso-cortical systemTubero-infundibular systemNigro-striata! systemIncerto-hypothalamic systemNoradrenergic systemLocus ceruleus systemTegmental systemAdrenergic systemFrom Medulla to spinalcord, hypothalamus, thalamus, periaqueductal graySerotonergic systemMidline raphe nucleus of hypothalamusHistaminergic systemTubero-mamillarv nucleus of posterior hypothalamusCholinergic systemNucleus basalis of Mevnert to amygdala and neocortex Plasma(mOsm/L H,0)Interstitial(mOsm/L H2O)Intracellular(mOsm/L H2O)Na+14213914K+4.24.0140Ca++1.31.20Mg++0.80.720Cl-1081084HCO32428.310HPO42-, H2PO42211SO40.50.51Phosphocreatine 45Carnosine 14Amino acids228Creatine0.20.29Lactate1.21.21.5Adenosine triphosphate 5Hexose monophosphate 3.7Glucose5.65.6 Protein1.20.24Urea444Others4.83.910Total mOsm/L301.8300.8301.2Corrected osmolar activity (mOsm/L)282.0281.0281.0Total osmotic pressure at 37 degC (mm Hg)544354235423